Triglycerides are transported from the liver to the tissues by
1. HDL
2. LDL
3. VLDL
4. Chylomicrons

Correct answer: 3. VLDL

Explanation: Synthesis of VLDL, They are synthesised in the liver from glycerol and fatty acids and incorporated into VLDL along with hepatic cholesterol, Apo-B-100, C-II and E. Apo-B-100 is the major lipoprotein present in VLDL when it is secreted. Apo-E and C-II are obtained from HDL in plasma. Metabolism of VLDL The half-life of VLDL in serum is only 1 to 3 hours. When they reach the peripheral tissues, apo-C-II activates LpL which liberates fatty acids that are taken up by adipose tissue and muscle. The remnant is now designated as IDL (intermediate density lipoprotein) and contains less of TAG and more of cholesterol. The major fraction of IDL further loses triglyceride, so as to be converted to LDL (low-density lipoprotein). This conversion of VLDL to IDL and then to LDL is referred to as lipoprotein cascade pathway. A fraction of IDL is taken up by the hepatic receptors.Ref: DM Vasudevan - Textbook of Biochemistry, 6th edition, page no: 153